During maxillary wash sudden death is due to
1. Air embolism
2. Maxillary artery thrombus
3. Bleeding
4. Meningitis

Correct answer: 1. Air embolism

Explanation: Air embolism: It is rare but may prove fatal. This complication can be prevented by avoiding insufflation of air into the antrum after lavage. Ref : Dhingra 7e pg 466.